Agoraphobia is most commonly associated with?
1. Depression
2. Mania
3. Panic
4. Generalized anxiety disorder

Correct answer: 3. Panic

Explanation: Ans. is 'c' i.e., Panic * The patient is afraid of all the places or situations from where escape may be perceived to be difficult if he suddenly develops embarrassing or incapacitating symptoms.* These embarrassing or incapaciating symptoms are the classical symptoms of panic. A full-blown panic attack may occur (agoraphobia with panic disorder) or only a few symptoms (like dizziness or tachycardia) may occur (agoraphobia without panic disorder).